A 34 years old patient came for antenatal ultrasound in her 2nd trimester. Her beta HCG level is raised, however AFP level is decreased. Patient has one 5 years old child who does not have any chromosomal abnormalities. Most likely diagnosis is?
1. Down syndrome
2. Patau syndrome
3. Edward syndrome
4. Trisomy 16

Correct answer: 1. Down syndrome

Explanation: Quadruple Screening test On mother's serum at 16 weeks of gestation Evaluation Trisomy NTD Omphalocele Gastroschisis Multiple Gestatoin 21 18 13 AFP | | | | uE3 | | NA NA HCG | | NA NA DIA | | NA NA Above ultrasound image shows VSD which can be seen in trisomy 21.